With normal cardiac function, a10 mm Hg change in which of the following pressure would have a greatest effect on cardiac output
1. Pressure in carotid artery
2. Pressure in the pulmonary artery
3. aortic pressure
4. Right atrial pressure

Correct answer: 4. Right atrial pressure

Explanation: As change in the arterial BP effects venous return that effects cardiac output Ref: textbook of physiology Volume 1 AK Jain 7th edition